A 16-year-old male complains of nasal obstruction, nasal blockage, a mass is seen in the nasopharynx with minimal extension into sphenoid sinus. What is the stage of nasopharyngeal fibroma?
1. IA
2. IB
3. IIA
4. IIB

Correct answer: 2. IB

Explanation: Ans. B. IB* Angiofibroma is the most common benign tumor of the nasopharynx.* It is typically seen in young adolescent males, i.e. occurs near puberty, hence called juvenile nasopharyngeal angiofibroma.Clinical features:* Recurrent episodes of profuse epistasis* Unilateral nasal obstruction* Nasal bones leading to broadening of nasal bridge* Red fleshy mass can be seen in the nasal cavityInvestigations* CECT: It is the golden test* Antral sign/Holman Miller sign seenStaging of angiofibromaRadkowski ClassificationsIALimited to nose and/or nasopharyngeal vault BExtension into 1 paranasal sinusIIAMinimal extension through sphenopalatine foramen into sphenopalatine/pterygomaxillary fossa BFills sphenopalatine fossa bowing the posterior wall of the maxillary antrum anteriorly or extending into the orbit via the inferior orbital fissure CExtends beyond sphenopalatine fossa into infratemporal fossaIIIAErosion of skull base--minimal intracranial extension BErosion of skull base--extensive intracranial extension with or without cavernous sinus invasionTreatment:* Surgical excision* Radiotherapy is indicated in stage III, when tumor has intracranial extension.